The expression of the following oncogene is associated with a high incidence of Medullary carcinoma of thyroid -
1. P53
2. Her2/neu
3. RET proto-oncogene
4. Rb gene

Correct answer: 3. RET proto-oncogene

Explanation: RET protooncogene is a growth factor receptor (receptor tyrosine kinase) 
The RET protein is a receptor for the glial cell lined derived neurotrophic factor and structurally related proteins that promote cell survival during neural development.
RET is normally expressed in the following cells


Parafollicular C cells of the thyroid
Adrenal medulla


Parathyroid cell precursors. Point mutation in the RET protooncogenes are associated with the following disorders.

 (i) MEN type 2A -


There is point mutation in RET extracellular domain which causes constitutive dimerization and activation leading to:-
Medullary thyroid carcinoma
Adrenal and parathyroid tumours

(ii) MEN type 2B -
Point mutation in the RET cytoplasmic catalytic domain alter the substrate specificity of the tyrosine kinase and leads to:-
Thyroid tumours
Adrenal tumors
(iii) Sporadic Medullary thyroid carcinoma 

Somatic rearrangement of the RET gene

(iv) Hirschsprung disease

This is caused by complete loss of RET function.